Fetal damage in diabetic mother in 1st trimester is best assessed by :
1. Level of glycosylated Hb
2. Level of glucose
3. Level of cholesterol
4. Level of insulin

Correct answer: 1. Level of glycosylated Hb

Explanation: Level of glycosylated Hb